During initial dentinogeneses
1. Cell free zone is not visible
2. Cell rich zone is not visible
3. Both can be seen
4. Both can not be seen

Correct answer: 1. Cell free zone is not visible